In epidemic, 1st step is -
1. Verification of diagnosis
2. Isolation
3. Immunization
4. Notification

Correct answer: 1. Verification of diagnosis

Explanation: Investigation of an epidemic: Verification of diagnosis Confirmation of the existence of an epidemic Defining the population at risk Rapid search for all cases and their characteristics Data analysis Formulation of hypothesis Testing of hypothesis Evaluation of ecological factor Further investigation of population at risk Writing the report Ref: 25th edition, Park's Textbook of Preventive and Social Medicine, Page no. 143